Not a feature of orbital apex syndrome
1. Ophthalmoplegia
2. Amaurosis
3. Anaesthesia of ophthamic nerve
4. Enophthalmos

Correct answer: 4. Enophthalmos

Explanation: A, b, c are triad of orbital apex syndrome.